Inlay is
1. Cast gold
2. Direct gold
3. Both
4. None of the above

Correct answer: 1. Cast gold